Commonest location for craniopharyngioma is -
1. Intrasellar
2. Suprasellar
3. Intraventricular
4. Intracerebral

Correct answer: 2. Suprasellar

Explanation: Ans. is 'b' i.e., Suprasellar